All of the following are features of Datura poisoning except:
1. Dryness of mouth
2. Delirium
3. Dilated pupil
4. Bradycardia

Correct answer: 4. Bradycardia

Explanation: Ans. D: Bradycardia Datura contains the alkaloids scopolamine and atropine. Due to the potent combination of anticholinergic substances it contains, Datura intoxication typically produces effects similar to that of an anticholinergic drug overdosage. Anticholinergic delirium, hyperthermia, tachycardia, bizarre and possibly violent behavior; and severe mydriasis is seen. Pronounced amnesia is another commonly reported effect